True statement regarding synovial fluid in Gout
1. Decreased sugar
2. Urate crystal
3. Pyrophosphate crystal
4. White cells

Correct answer: 2. Urate crystal

Explanation: (Urate crystal) (22-A)Examination of svnovial fluidSuspected conditionAppearanceViscosityCellsCrystalsBiochemistryNormalClear yellowHighFew-As for plasmaSeptic arthritisPurulentLowWhite cells +++-Glucose lowTuberculous arthritisTurbidLowWhite cells +-Glucose lowRheumatoid arthritisCloudyLowWhite cells ++--GoutCloudyNormalWhite cells +++ urate-PseudogoutCloudyNormalWhite cells+ pyrophosphate-Osteo arthritisClear yellowHighFewOften +-* Blood stained fluid - After injury, Acute inflammatory disorders pigmented villonodular synovitis* Marked reduction of synovial glucose suggests infections.* A High white cell count (more then 100,000/mm3) is usually indicative of infection, but a moderate leucocylosis is also seen in gout and other types of inflammatory arthritis.